Asmann psychrometer is useful for -
1. Humidity
2. Velocity
3. Temperature
4. Sound intensity

Correct answer: 1. Humidity

Explanation: A psychrometer is an instrument to measure the humidity of the air. Assmann psychrometer is a portable instrument to give accurate readings of wet and dry bulb temperatures of air. In this instrument, the air is drawn at a speed of 5 meters per second by clockwork fan. Park's Textbook of Preventive and Social Medicine, 25th Edition, Pg 809